The weight of the child at 3 years is usually ___ times the birth weight?
1. 3
2. 4
3. 5
4. 7

Correct answer: 3. 5

Explanation: The increase in the weight of the child with age- Age Weight (kg) Birth w 5 months 2w 1 year 3w 2 years 4w 3 years 5w